Extra layer of cilia posterior to grey line
1. Tylosis
2. Madarosis
3. distichiasis
4. Trichiasis

Correct answer: 3. distichiasis

Explanation: REF : AK KHURANA 7TH ED